Spermicidal cream which is used in contraceptives?
1. Gossypol
2. Nonoxynol-9
3. Cent chroman
4. Clomiphene

Correct answer: 2. Nonoxynol-9

Explanation: Spermicidal agents provide a physical barrier to sperm penetration and a chemical spermicidal action. Active ingredient is nonoxynol-9 or octoxynol-9. Spermicides must be deposited high in the vagina in contact with the cervix shortly before intercourse. Duration of maximal effectiveness is usually no more than 1 hour. Therefore, they must be reinserted before repeat intercourse.